Which of the following is a Opsonin?
1. C3a
2. C3b
3. C5a
4. LTC4

Correct answer: 2. C3b

Explanation: Ref. Robbins Pathology. 9th edition. Page. 78
 
Examples of opsonins include:

Antibodies:

IgG and IgA


Components of the complement system:

C3b, C4b, and iC3b


Mannose Binding Lectin (MBL)
Membrane Attack Complex (MAC)